All of the following are true about action of ADH, except:
1. Post-operative increase in secreation
2. Secreted neurosecreation
3. Increased secretion when plasma osmolality is low
4. Act on distal convoluted tuble and increase permeability

Correct answer: 3. Increased secretion when plasma osmolality is low

Explanation: Ans. c. Increased secretion when plasma osmolality is low